Which of the following is not a pyrogenic cytokine?
1. IL - 1
2. TNF
3. IFN - a
4. IL - 18

Correct answer: 4. IL - 18

Explanation: Pyrogens are substances which cause fever. These can be either exogenous or endogenous. The endogenous pyrogens (also called the pyrogenic cytokines) include: IL-1 IL-6 Tumor necrosis factor (TNF) Ciliary neurotopic factor (CNTF) IFN-a (alpha) IL-18 which is a member of IL-1 family does not appear to be a pyrogenic cytokine.